Which of the following drugs can act as Goitrogens:
1. P.A.S
2. Thiocyanate.
3. Antithyroid drugs.
4. All of the above.

Correct answer: 4. All of the above.